When leukocytes are arranged along the endothelium of blood vessels it is called-
1. Diapedesis
2. Adhesion
3. Margination
4. Chemotaxis

Correct answer: 3. Margination

Explanation: The process of leukocyte accumulation at periphery of vessels is called margination. Leukocyte-Endothelial Interactions This is called margination of leukocytes. Next the leukocytes begin rolling along the surface of the endothelium within the blood vessel and finally they line-up along the vascular endothelium mediated by selectins Pathology, Robbins. Page no.: 35